Masculinising tumours of the ovary :
1. Dysgerminoma
2. Embryonal cell carcinoma
3. Arrhenoblastoma
4. None

Correct answer: 3. Arrhenoblastoma

Explanation: Arrhenoblastoma